Which of the following drugs does not cause hypoglycemia:
1. Acarbose
2. Insulin
3. Glimepride
4. Nateglinide

Correct answer: 1. Acarbose

Explanation: Ans. (A) Acarbose(Ref: Katzung 11/e p743-744, KDT 8/e p301)Drugs that act by release of insulin can cause hypo- glycemia. Therefore, glimepride (a sulfonylurea) and nateglinide that blocks ATP sensitive potassium channels and release insulin will cause hypoglycemia as an advese effect whereas use of acrabose alone is not associated with hypoglycemia.